A 60 year's old male patient presented with blisters over trunk and thighs for 2 weeks. Lesions are mildly itchy. On examination blisters were tense with erythematous base. Nikolsky's sign is negative. There was no mucosal involvement.
1. Pemphigus vulgaris
2. Pemphigus vegetans
3. Bullous pemphigoid
4. Dermatitis herpetiformis

Correct answer: 3. Bullous pemphigoid

Explanation: Ans. is 'c' i.e. Bullous pemphigoid Points in favour of bullous pemphigoid* Age group - 60 years* Blisters over trunk and thighs.* Blisters are tense. Base is erythematous* Mild Itching.* Nikolsky's sign is negative* No mucosal involvementAbout other optionsPemphigus vulgaris* Common age group involvement for pemphigus is 20-40 years.* Blisters are flaccid on normal base.* Itching is mild or absent in pemphigus.* Nikolsky's sign is positive.* Mucosal involvement is characteristic feature in pemphigus.Pemphigus vegetans* Blisters and erosions are associated with verrucous vegetations in the intertriginous areas (the axillae, groins and inframammary folds), scalp and the face.Dermatitis herpetiformis* Age group - DH is commonly seen in 2nd to 3rd decade* Itching is very prominent (characteristic feature)* Lesions are symmetrically distributed over extensor surfaces (elbow, knees, buttocks, back, scalp, posterior neck.* Lesion is usually polymorphic and occurs in crops.